Generalized paresis of Insane is seen in -
1. Primary stage
2. Secondary stage
3. Teritiary stage
4. Congenital syphilis

Correct answer: 3. Teritiary stage